In a case of antepartum hemorrhage with BP = 801 60 mmHg, treatment of choice is :
1. Blood transfusion
2. Morphine
3. Placentography
4. Panhysterectomy

Correct answer: 1. Blood transfusion

Explanation: Blood transfusion